In Profound MR, IQ is
1. 50-69
2. 35-49
3. 20-34
4. < 20

Correct answer: 4. < 20

Explanation: IQ range for categoriesICD-10DSM-IVMild50-6950-55 to 70Moderate35-4935-40 to 50-55Severe20-3420-25 to 35-40ProfoundBelow 20Below 20-25Reference: Oxford Textbook of Psychiatry; 3rd edition; Chapter 18; Learning Disability